Flaring of anterior ends of the ribs is characteristically seen in –
1. Neurofibromatosis
2. Scurvy
3. Rickets
4. Hypothyroidism

Correct answer: 3. Rickets

Explanation: Metaphyseal flaring of the anterior ends of ribs is characteristically seen in rickets. Flaring of the anterior end of ribs may also be seen in scurvy but it is more characteristic of Rickets which is the answer of choice.